Whiplash injury is damage to
1. Skull
2. Spine
3. Rib cage
4. Long bones

Correct answer: 2. Spine

Explanation: Ans. (b) SpineRef: The essentials of FSM by KS Narayan Reddy 31st ed. 1246* Fracture of spine need not injure the cord, but the cord is rarely injured without associated fractures of the vertebral column. "Whiplash injury" is an exception to this rule. This injury sustained commonly by the occupants of the front seat. When the vehicle comes to a sudden stop, there is forward thurst which produces acute hyperflexion but this converted into acute hyperextension as the forehead strikes the windscreen which causes injury to the cervical column.